True about gastric lymphoma -a) Non Hodgkins lymphoma commonest varietyb) Diagnosis is made by biopsyc) Chemoresistantd) Essentially B-cell typee) H-Pylori has direct relationship
1. abde
2. bcde
3. acde
4. ade

Correct answer: 1. abde

Explanation: Gastric lymphoma

The stomach is the most common site for extranodal lymphoma.
Nearly all gastric lymphomas are B-cell lymphomas of mucosa-associated lymphoid tissue (MALT lymphoma)
Majority of cases (80%) are associated with chronic gastritis and H. Pylori infection.
The most striking evidence linking H. Pylori gastritis to MALToma is that eradication of infection by antibiotics induces durable remission with low rate of recurrence.
Gastric lymphoma represents 5% of all gastric malignancies.
It is most prevalent is sixth decade of life.
Like other tumors of mature B cells, MALTomas express B-cell markers CD 19 and CD 20. They do not express CD 5, CD 10 and CD 23.
Diagnosis is made by endoscopic biopsy.
Gastric lymphomas are chemosensitive and chemotherapy alone or along with surgery is used for the treatment of gastric lymphoma.

About option 'a'

Most common variety of gastric lymphoma is NHL (MALToma). Very rarely, Hodgkin's lymphoma may also occur in stomach.